Therapeutic uses of Prostaglandin El include all of the following except
1. Medical termination of pregnancy
2. Impotence
3. Primary pulmonary hypertension
4. Maintenance of patent ductus arteriosus (PDA)

Correct answer: 3. Primary pulmonary hypertension

Explanation: Ans. is 'c' primary pulmonary hypertensionRef: K.D.T. 5th/e page 164, 165 (4th/ep 219), Goodman Gilman 10th/ep679, Dutta obstetrics 5th/e, p187)Uses of PGE1 (Misoprost)Gastric ulcer-PGE1 reduces the basal acid secretion by 90% and stimulated acid secretion by 80% so they heal gastric ulcer ulcer healing rates are comparable to cimetidineImpotence-PGE1 may be used in the treatment of impotence.Intracavernous injection of PGE1 causes partial erection in impotent patients.PGE1 is more effective than papaverine. Priapism occurring sometimes with papaverine/ phentolamine inj. has not been noted with PGE1.Maintenance of patent ductus arteriosus-The ductus arteriosus in neonates is highly sensitive to vasodilation by PGE1.Patency of ductus arteriosus is necessary in some patients with congenital heart disease till surgery is undertaken PGE1 has proved to be highly effective in such patients.Medical Termination of PregnancyUse of prostaglandins in primary pulmonary hypertensionPrimary pulmonary hypertension is a rare idiopathic disease mainly observed in young adults. It usually leads to right heart failure. Lung or lung-heart transplantation has been the treatment previouslyLong term therapy with PGI2 (epoprostenol) offers the following benefitsDelayed or avoided the need for transplant Marked improvement in symptomsPGE1 has no role in primary pulmonary hypertension